Hereditary retinoblastoma develop as a result of which of the following chromosomal deletion?
1. 13q 14
2. 13p 14
3. 14p 13
4. 14q 13

Correct answer: 1. 13q 14

Explanation: Hereditary retinoblastomas develop from the deletion of Rb gene, located on chromosome 13q14. Retinoblastoma gene is a tumor suppressor gene, which serves as a break on the advancement of cells from the G1 to S phase of cell cycle.Ref: Robbins Pathologic Basis of Disease, 7th Edition, Pages 287, 289, 1372.